Young man whose voice has not broken is called
1. Functional aphonia
2. Puberphonia
3. Plica ventricularis
4. Androphonia

Correct answer: 2. Puberphonia

Explanation: PUBERPHONIA (MUTATIONAL FALSETTO VOICE) Normally, childhood voice has a higher pitch. When the larynx matures at puberty, vocal cords lengthen and the voice changes to one of lower pitch. This is a feature exclusive to males. Failure of this change leads to persistence of childhood high-pitched voice and is called puberphonia. It is seen in boys who are emotionally immature, feel insecure and show excessive fixation to their mother. Psychologically, they shun to assume male responsibilities though their physical and sexual development is normal. Treatment is training the body to produce low-pitched voice. Pressing the thyroid prominence in a backward and downward direction relaxes the overstretched cords and low tone voice can be produced (Gutzmann's pressure test). The patient pressing on his larynx learns to produce low tone voice and then trains himself to produce syllables, words and numbers. Prognosis is good. Ref:- Dhingra; pg num:-314